DIC is seen in the following type of AML:
1. M3
2. M4
3. M2
4. M5

Correct answer: 1. M3

Explanation: In acute promyelocytic leukemia (APL), tissue factor is secreted directly into the bloodstream by the membranes of the promyelocyte blast cells- initiates the coagulation cascade causing DIC. Although DIC is common in APL, APL itself is a rare form of AML, subtype M3. APL - t(15;17), results in the formation of promyelocytic leukemia gene and retinoic acid receptor. Significant GI bleeding, intrapulmonary hemorrhage, or intracranial hemorrhage occurs most often in M3 AML. Bleeding associated with coagulopathies may also occur in M5 AML Infiltration of the gingivae, skin, soft tissues, or the meninges with leukemic blasts at diagnosis is characteristic of the monocytic subtypes (M4 and M5) Note : Myeloid Sarcoma ( Seen in M2 subtype ) M3 AML associated with PML-RARA mutation = Rx- ATRA ( All trans retinoic acid ) and Arsenic trioxide